Cardiac output can be determined by all except
1. Fick’s principle
2. V/Q ratio
3. Thermodilution
4. Echocardiography

Correct answer: 2. V/Q ratio